Healthy human volunteers are the Unit of study in ___ Phase of Clinical trial:-
1. Phase I
2. Phase II
3. Phase III
4. Phase IV

Correct answer: 1. Phase I

Explanation: Phase Unit of study Purpose Phase 0 Healthy human volunteers Micro-dosing Phase 1 Healthy human volunteers Safety and non-toxicity profile Phase II Patients Effectiveness Phase III Patients Comparison with existing drugs Phase IV Patients Long term side effects / post marketing